Villous adenoma presents as:
1. Hypercalcemia
2. Hypokalemia
3. Hyperphosphaetemia
4. All of the above

Correct answer: 2. Hypokalemia

Explanation: Ans. B: Hypokalemia Villous adenomas of the colon usually produce a hyperchloremic metabolic acidosis because of the loss of large volumes of colonic fluid, rich in potassium and bicarbonate. Occasionally, these tumors cause metabolic alkalosis. The mechanism is not well understood. Some authors opine that the hypokalemia caused by these tumors is the etiology of metabolic alkalosis.